Lisch's nodule's are seen in?
1. SLE
2. Systemic sclerosis
3. NF-1
4. Mixed connective tissue disorder

Correct answer: 3. NF-1

Explanation: Ans is 'c' i.e. NF-1 o A Lisch nodule is a pigmented hamartomatous nodular aggregate of dendiritic melanocytes affecting the iris. They appear as clear, yellow-brown, oval to round, dome-shaped papules that project from the surface of the iris. They are detected by slit lamp examination . These nodules typically do not affect vision, but are very useful in diagnosis.NF-1 is diagnosed if two of following sevens are present:-1) Six or more cafe-au-lait macules : > 5mm in prepubertal age and > 15 mm in postpubertal age.2) Axillary or inguinal freckling.3) Two or more Lisch nodules (hamartomas on iris).4) Two or more neurofibroma or one plexiform neurofibroma.5) A distinctive osseous lesion : Sphenoid dysplasia or cortical thinning of long bones.6) Optic glioma.7) A first degree relative with NF-1.